Which of the following helminths primarily produces gastrointestinal symptoms, without lung involvement, during the course of its infection?
1. Dirofilaria immitis
2. Strongyloides stercoralis
3. Trichuris trichiura
4. Ascaris lumbricoides

Correct answer: 3. Trichuris trichiura